38-year-old man Babbu, a chronic alcoholic, presents with pain in the abdomen. On examination, his liver is enlarged and serum α-fetoprotein is elevated. The most likely diagnosis is -
1. Hepatocellular carcinoma
2. Liver cell hyperplasia
3. Hepatic adenoma
4. Hepatitis

Correct answer: 1. Hepatocellular carcinoma